Tuft of hair over the lumbosacral region in a newborn is suggestive of:
1. Spina bifida occulta
2. Sinus tract
3. Tumor
4. Any of the above

Correct answer: 4. Any of the above

Explanation: d. Any of the above(Ref: Nelson's 20/e p 2580, 2816)90% of patients with occult spinal dysraphism, have a cutaneous abnormality overlying the lower spine, including a small dimple, tuft of hair, dermal vascular malformation, or subcutaneous lipomaOccult spinal dysraphism includes spina bifida occulta, lipomeningocele, intradural lipoma, diastematomyelia, tight filum terminale, dermoid cyst-sinus, aberrant nerve roots, anterior sacral meningocele, and cauda equina tumor.